Not a stimulus for pulmonary vasoconstriction:
1. Hypoxemia
2. Hypercapnia
3. PGI2
4. Thromboxane

Correct answer: 3. PGI2

Explanation: C i.e. PGI2The unique feature of pulmonary vasculature is that the hypoxia tends to produce Vasconstriction (where as in other system it produces Vasodilation)